Thromboxane A2 causes
1. Vasodilatation and platelet aggregaion
2. Vasodilatation and anti platelet aggregatory
3. Vasoconstriction and anti platelet aggregatory
4. Vasoconstriction and platelet aggregaion

Correct answer: 4. Vasoconstriction and platelet aggregaion

Explanation: Thromboxane A2 secreted by platelets promotes platelet aggregation and vasoconstriction Ref: Ganong's Review of Medical Physiology Twenty-Third Edition Page No:563